Which of the following is used to measure the depth of anesthesia -
1. Bispectral index
2. Immobility of patient
3. MAC of anesthetic drug
4. None

Correct answer: 1. Bispectral index

Explanation: Ans. is 'a' i.e., Bispectral index Methods of monitoring the depth of anesthesia* Monitoring of depth of anesthesia is done mainly clinically1. Bispectal index2. Tachycardia3. Hypertension4. Lacrimation5. Perspiration (sweating)6. Eye movement7. Preserved reflexes (coughing)8. Movement on painful stimuli9. Laryngospasm / Bronchospasm10. Tachypnea11. P waves on EEG12. Evoked responses